A 3 month baby will have –
1. Pincer grasp
2. Head control
3. Sitting with support
4. Transfer objects

Correct answer: 2. Head control